True about aminoglycosides is all EXCEPT:
1. Excreted unchanged in urine
2. Distributed only extracellularly
3. Are bacteriostatic
4. Teratogenic

Correct answer: 3. Are bacteriostatic

Explanation: The aminoglycosides are bactericidal antibiotics, all having the same general pattern of action.